Which of the following statements is FALSE regarding Ribozyme?
1. Are protein enzymes
2. Can catalyze a reaction
3. Act on RNA molecules
4. Assist new proteins to fold into their appropriate conformation

Correct answer: 1. Are protein enzymes

Explanation: Ribozymes (ribonucleic acid enzymes) represent a unique departure from the original thought that enzymes can only be proteins. They are not proteins. Like their protein counterparts, particular RNA sequences possess secondary or tertiary structure that enables them to catalyze a reaction. Most ribozymes act on either themselves or another RNA molecule. Some ribozymes, including those in ribosomes, catalyze the transfer of amino groups to a growing protein sequence and assist new proteins to fold into their appropriate conformation. Application: The development of potential scientific and medical applications of ribozymes is ongoing, including possible treatments against initial HIV infection. Theories suggesting that RNA, not DNA, molecules were the original genetic code molecules also infer that ribozymes may have been some of the initial enzymatic molecules that allowed propagation of early life. Ref: Janson L.W., Tischler M.E. (2012). Chapter 4. Nucleosides, Nucleotides, DNA, and RNA. In L.W. Janson, M.E. Tischler (Eds), The Big Picture: Medical Biochemistry.